Tumor associated with best prognosis in children is-
1. Medulloblastoma
2. Ependymoma
3. Cerebellar astrocytoma
4. Glioblastoma-multiformis

Correct answer: 3. Cerebellar astrocytoma

Explanation: Cerebellar astrocytoma is the most common posterior fossa tumor and has the best prognosis
Worst prognosis is seen with --> Brain-stem glioma.